A 17 year old athletic girl complains of anterior knee pain on climbing stairs and on getting up after prolonged sitting, likely diagnosis
1. Blount's disease
2. Chondromalacia patella
3. Nail - patella syndrome
4. Bursitis

Correct answer: 2. Chondromalacia patella